What is the specific marker of Neural tube defects
1. Estriol
2. Inhibin A
3. Acetylcholinesterase
4. Pregnancy - associated plasma protein A

Correct answer: 3. Acetylcholinesterase

Explanation: Acetylcholinesterase is the specific biochemical marker for neural tube defects.